Hypersensitivity vasculities seen in -
1. Capillaries
2. Arterioles
3. Post capillary venules
4. Medium sized vessels

Correct answer: 3. Post capillary venules